All of the following are causes of Renal Vein Thrombosis, Except:
1. Membranous Nephropathy
2. Membranoproliferative glomerulonephritis
3. Lupus Nephritis
4. Post streptococcal Glomerulonephritis (PSGN)

Correct answer: 4. Post streptococcal Glomerulonephritis (PSGN)

Explanation: Answer is D (PSGN): Post streptococcal Glomerulonephritis has not been mentioned as a cause of Renal Vein thrombosis Nephrotic Syndrome: Common Renal pathologies causing Renal Vein Thrombosis Membranous Glomerulonephritis (strongest association) Membranoproliferative Glomerulonephritis Amyloidosis Lupus Nephritis (Thrombosis & hemorrhage 3rd/724) Nephrotic syndrome due to diabetic mellitus, minimal change disease andfbcal segmental sclerosis are rarely associated with renal vein thrombosis